Pseudo-Meigs syndrome syndrome seen with-
1. Fibroids
2. Adenomyosis
3. Endometriosis
4. Ovarian fibroma

Correct answer: 1. Fibroids

Explanation: Ans- A . Fibroids Meig's-ovarian fibromas Pseudomeig's-subserous Fibroid Pseudo-Meigs syndrome consists of pleural effusion (an example of which can be seen in the image below), ascites, and benign tumors of the ovary other than fibromas. These benign tumors include those of the fallopian tube or uterus and mature teratomas, struma ovarii, and ovarian leiomyomas.